Professional death sentence is :
1. Imprisonment for whole life
2. Rigorous imprisonment
3. Erasing the name from the panel of RMPs
4. None

Correct answer: 3. Erasing the name from the panel of RMPs

Explanation: C i.e. Erasing the name from the panel of RMP's